Levonorgestrol containing IUCD prevents pregnancy primarily due to:
1. Making endometrium unreceptive
2. Suppressing ovulation
3. Initiating inflammatory changes within the endometrium
4. Making cervical mucus thin

Correct answer: 1. Making endometrium unreceptive

Explanation: Ans. A: Making endometrium unreceptive There are 2 categories of intrauterine contraceptive devices: Inert and copper -based devices, and Hormonally-based devices that work by releasing a progestogen. Most non-hormonal IUDs have a plastic T-shaped frame that is wound around with pure electrolytic copper wire and/or has copper collars (sleeves). All copper-containing IUDs have a number as part of their name. This is the surface area of copper (in square millimeters) the IUD provides. Hormonal intra-uterine devices Hormonal uterine devices do not increase bleeding as inert and copper-containing IUDs do. They alter the cervical mucus, makes it thick which prevents penetration of sperm and causes atrophy of the endometrium .Rather, they reduce menstrual bleeding or prevent menstruation altogether, and can be used as a treatment for menorrhagia. Contraindications of IUCD Postpartum between 48 hours and 4 weeks (increased IUD expulsion rate with delayed postpartum insertion) Suspected pregnancy Distortions of the uterine cavity by fibroids or anatomical abnormalities Current PID IUDs may safely be inserted at any time during the menstrual cycle as long as it is reasonably certain the woman is not pregnant. Insertion may be more comfortable if done midcycle, when the cervix is naturally dilated. Side Effects and Complications The insertion process carries a small, transient increased risk of PID in the first 20 days following insertion. After IUD insertion, Menstrual periods are often heavier, more painful, or both - especially for the first few months after they are inserted. On average, menstrual blood loss increases by 20-50% after insertion of a copper-T IUD. Increased menstrual discomfort is the most common reason for IUCD removal. Complications include expulsion and uterine perforation. The risk of ectopic pregnancy: pregnancies that do occur during IUD use a higher than expected percentage (3-4%) is ectopic.